Most common organism causing peritonitis is
1. Klebsiella
2. E.coli
3. Staphylococcus aureus
4. Streptococcus

Correct answer: 2. E.coli

Explanation: Most common cause of Peritonitis is E.coli 2nd most common cause is Klebsiella.